A 26-year-old woman complains to her physician of discomfort during intercourse. Pelvic examination demonstrates a frothy, yellow-green vaginal discharge with a strong odor. Small, red, ulcerations of the vaginal wall are also seen. A wet mount preparation demonstrates motile, flagellated protozoa. If this woman had been pregnant and had not been treated, she and/or her baby would be at most significantly at increased risk of which of the following?
1. Congenital cardiac malformation
2. Congenital nervous system malformation
3. Hydronephrosis
4. Premature rupture of membranes

Correct answer: 4. Premature rupture of membranes

Explanation: Pregnant women with trichomoniasis can be safely treated with metronidazole, and this should be done to prevent the increased risk of premature rupture of membranes and preterm delivery. Other complications of trichomoniasis not limited to pregnant women are uncommon, but may include cuff cellulitis following hysterectomy and emphysematous blebs in the vaginal wall. Trichomoniasis does not predispose for congenital malformations or the maternal complications of pregnancy of hydronephrosis.